Which of the following is derived from Ist arch?
1. Frontonasal process
2. Maxillary process
3. Mandibular process
4. Both maxillary & mandibular processes

Correct answer: 4. Both maxillary & mandibular processes

Explanation: Face is developed from five facial primordia appear as prominences of mesenchyme:?One frontonasal process : Begins as a proliferation of mesenchyme on ventral surface of developing brain.Two maxillary processes : Grow out from the upper end of each first arch.Two mandibular processes : Grow from each first arch.